Most common location of spinal tumors
1. Intramedullary
2. Intradural extramedullary
3. Extradural
4. Equally distributed

Correct answer: 3. Extradural

Explanation: Ans. is 'c' i.e. Extradural "The majority of neoplastic conditions that affect the spine are extradural metastases." - DeVita's Oncology Most commonSpinal tumor - MetastasesPrimary spinal tumor - Nerve sheath tumorIntramedullary tumor - EpendymomaSite of spinal tumors - ExtraduralSite of primary tumors - Intradural extramedullary